A 7 year presented with intermittent abdominal cramps, loose stools and on stool examination ova of size 100 micrometre is seen. Which is not the cause?
1. Fasciola gigantic
2. Echinostorum ileocaxnum
3. Gastrodiscoides hominis
4. Opisthorcis viverrani

Correct answer: 4. Opisthorcis viverrani

Explanation: Opisthorchis viverrini Among the options provided only opisthorchis viverrini has smaller than 100 pm i.e. they are < 30 pm in size Organism Clinical features Eggs * Adults live in small intestine of the Diagnosis is by definitive host operculated eggs Echino.storuin * Inflammation and ulceration of small in faeces ileocaxnum intestine may cause diarrhoea Size of the eggs "(intestinal with blood and abdominal pain are 80-140 by fluke)" * Acquired by eating raw or undercooked snails, clams, fish containing 58 x 90 pin Metacercariae larvae * Fasciola gigantica * Caused by ingestion of metacercaria Eggs are large "(liver. fluke)" lave 130-150um * The adults live in the biliary tract of the liver by 60-90 pm * It is caused by the ingestion of uncooked aquatic plants - Causes dyspepsia, anorexia, nausea, vomiting, abdominal pains, sometimes hepatomegaly and hepatic tenderness Opisthorcis * Liver fluke that inhabite the bile ducts 30 x .12 }dm in Viverrini of fish eating animals size "(liverfluke)" * Caused by ingestion of raw or * Undercooked freshwater fish * Abdominal discomfort gas and * Fatigue are typical * It is associated with cancer of bile duct Gastmdiscoides * Large fluke of pig and human Egg size is Hollings * Caused by ingestion of vegetation found in contaminated water 130 + 60 x ion * Can also be transmitted after eating infected fish that has not been cooled properly or at all * Humans are an accidental host because the patients can survive without the existence of man. However snail is necessary in the development of parasite.